Pterygium of nail is characteristically seen in –
1. Lichen planus
2. Psoriasis
3. Tinea unguium
4. Alopecia arcata

Correct answer: 1. Lichen planus

Explanation: Pterygium is the prolongation of proximal nail fold on to the nail bed. Pterygium is diagnostic for Lichen planus.